All the following are True about the pulled elbow except?
1. The elbow is fully flexed
2. The forearm lies in pronation
3. It is treated by fully supinating the forearm
4. It is dislocation of the radial head

Correct answer: 1. The elbow is fully flexed

Explanation: Pulled elbow Dislocation of the radial head from the annular ligament is a fairly common injury in children under the age of 6 years. There may be a history of the child being jerked by the arm and subsequently complaining of pain and inability to use the arm. The arm is held more or less immobile with the elbow fully extended and the forearm pronated. The diagnosis is essentially clinical, although radiographs are usually obtained to exclude a fracture. It is treated by fully supinating the forearm.